Diffuse increase in the parenchymal density of breast is seen in?
1. Hormone replacement therapy
2. Lipodystrophy
3. Cachexia
4. All of the above

Correct answer: 4. All of the above

Explanation: Ans DBreast density is from fat and glandular tissue. Any pathology that leads to either reduction in fat (cachexia, lipodystrophy) or increased glandular component (hormone replacement therapy) will cause increase in density on imaging